Least common site for vegetation is?
1. Aortic Stenosis (AS)
2. Mitral Stenosis (MS)
3. Mitral Regurgitation (MR)
4. Atrial Septal Defect (ASD)

Correct answer: 4. Atrial Septal Defect (ASD)

Explanation: Answer is D (ASD) Repeat Vegetations of infective endocarditis are least common with ASD amongst the options provided